At what location does the amniotic cavity develop?
1. Between the cytotrophoblast and syncytiotrophoblast
2. Within the extraembryonic mesoderm
3. Between the endoderm and mesoderm
4. Within the epiblast

Correct answer: 4. Within the epiblast

Explanation: The amniotic cavity develops within the epiblast, and it is a cavity that contains the embryo and amniotic fluid